Which of the following drugs are indicated for management of severe malaria?
1. Quinine
2. Artemether
3. Artesunate
4. All of the above

Correct answer: 4. All of the above

Explanation: Ans. D. All of the aboveMalaria is a potentially life-threatening disease caused by infection with Plasmodium protozoa transmitted by an infective female Anopheles mosquito. Plasmodium falciparum infection carries a poor prognosis with a high mortality if untreated, but it has an excellent prognosis if diagnosed early and treated appropriately. Severe malaria may present with cerebral malaria, convulsions, hypoglycemia, and metabolic acidosis with respiratory distress, acute pulmonary edema, circulatory collapse, jaundice, hemoglobinuria, and hyperpyrexia. Drugs used for management of severe malaria include Quinine, artemether and artesunate.